Human papiloma virus is a:
1. RNA virus
2. DNA virus
3. Both
4. None

Correct answer: 2. DNA virus

Explanation: Ans. (b) DNA virusRef.: Microbiology by Ananthanarayan and Paniker 8th ed. /549* Human papillomavirus (HPV) is a DNA virus from the papovavirus family that is capable of infecting humans.* Usually it causes no symptoms in most people, but some types can cause warts (verrucae), while others can in a minority of cases lead to cancers of the cervix, vulva, vagina, penis, oropharynx and anus.* HPV has been linked with an increased risk of cardiovascular disease.* In addition, HPV 16 and 18 infections are a cause of a unique type of oropharyngeal (throat) and cervix cancer.DNA and RNA virusDNA virusRNA virus# Pox virus: largest virus# Parvovirus: smallest virus# Adenovirus# Papovavirus# Hepadna virus# Herpesvirus# Rotavirus: only double stranded RNA virus# Orthomyxovirus# Reovirus# Buniya virus# Arena virus# Hepatitis A, C, D, E virus# Picorna, polio, cocksackie, echo and entero virus.